Bleeding time is abnormal in:
1. Haemophilia
2. Christmas disease
3. Von-Willebrand disease
4. Vitamin K-deficiency

Correct answer: 3. Von-Willebrand disease

Explanation: (Von Wille brand's disease): Ref: 649-R, 428-HM BLEEDING TIME: - This test is dependent upon capillary function as well as on platelet number and ability of platelets to adhere to form aggregates (Normal range - 3-8 minutes) Prolong bleeding time may be due to: 1. Thrombocytopenia 2. Disorder of platelet function 3. Von Willebrand's function 4. Vascular abnormalities (eg. Ehler-Danlos syndrome) 5. Severe - deficiency of factor V and XI